Smack is the "common" name for -
1. Heroin
2. Cocaine
3. Opium
4. None

Correct answer: 1. Heroin

Explanation: Smack is a street name for Heroin.